Hutchinson's triad does not include:
1. Interstitial Keratitis
2. 8th nerve deafness
3. Hutchinson teeth
4. Mulberry Molars

Correct answer: 4. Mulberry Molars

Explanation: Mulberry molar is also present in congenital syphilis but not included under Hutchinson's triad.